Valve usually not involved in rheumatic fever -
1. Mitral
2. Aortic
3. Pulmonary
4. Tricuspid

Correct answer: 3. Pulmonary

Explanation: Endocarditis in rheumatic fever
1. Mitral valve involved almost all the cases of Acute Rheumatic Fever.
2. Almost 25% of MR is associated with aortic regurgitation.
3. Tricuspid regurgitation is seen in 10-30% cases.
4. Pulmonary valve involvement is never seen.